Diplococcus pneumoniae shows the following characters except -
1. Capsulated
2. Bile solubility test positive
3. Causes meningitis
4. Not pathogenic to mice

Correct answer: 4. Not pathogenic to mice